During IOL implantation, corneal endothelial damage can be prevented by use of:
1. Methyl cellulose
2. Sodium hyaluronate
3. Chondroitin sulfate
4. All of the above

Correct answer: 4. All of the above

Explanation: Ans. All of the above